True about Bell's palsy is
1. Spontaneous recovery
2. Steroids contraindicated
3. 25% resolves
4. Antiobiotics are the mainstay of treatment

Correct answer: 1. Spontaneous recovery

Explanation: Bell`s palsy is the most common cause of acute LMN facial palsy.Cause- Idiopathic/ Herpes simplex virusSpontaneous resolution in the majority of the casesElectrophysiological testing monitors prognosis and recoveryTreatment- Steroids, Acyclovir, Physiotherapy, eye care (corneal protection)Ref: Hazarika; 3rd ed; Pg 185